Cipargamin is a drug under trial for
1. HIV / AIDS
2. Tuberculosis
3. Typhoid
4. Malaria

Correct answer: 4. Malaria

Explanation: Cipargamin (KAE 609) is a synthetic antimalarial belonging to the spiroindolone class. In trials, it cleared the parasite rapidly in Plasmodium falciparum and Plasmodium vivax in uncomplicated Malaria patients. The safety profile of drug not known yet. Ref : Park 23rd edition Pgno : 262